In Lipooxygenase pathway, the formation of the arachidonic acids products which of the following helps in the promote platelet aggregation and vasoconstriction-
1. C5a
2. Thromboxane A2
3. Leukotriene B4
4. Ci activators

Correct answer: 2. Thromboxane A2

Explanation: TXA2- causes platelet aggregation and vasoconstriction PGI2 - inhibit platelet aggregation LTB4- chemotactic C5 is a complement robbins 9th ed page 84